Turner's Syndrome is associated with :
1. 45 chromosomes
2. Presence of barr bodies
3. Low FSH levels
4. All of the above

Correct answer: 1. 45 chromosomes

Explanation: 45 chromosomes Turners syndrome has karyotype 45X0. (Option "a" is correct) No. of Barr Bodies= Total No of X Chromosomes -- 1 No. of Barr Bodies in Turners = 1 -- 1 = 0 (Option "b- ruled out) In Turner's syndrome ovaries are replaced by Streak Gonads --> Decreased Estrogen levels -- Decrease in negative inhibition over FSH and therefore FSH levels raised. (Option "c- ruled out)